Following are common causes of short stature in a child EXCEPT
1. Familial
2. Undernutrition
3. Turners syndrome
4. Klinefelte's syndrome

Correct answer: 4. Klinefelte's syndrome

Explanation: Signs and symptoms of Klinefelter syndrome may include: Taller than average stature. Longer legs, shorter torso and broader hips compared with other boys. Absent, delayed or incomplete puberty. After puberty, less muscle and less facial and body hair compared with other teens. Small, firm testicles. Small penis. Enlarged breast tissue (gynecomastia) Reference: GHAI Essential pediatrics, 8th edition